All of the following are true about Herpes group virus except -
1. Ether sensitive
2. May cause malignancy
3. HSV II involves below diaphragm
4. Burkitt's lymphoma involves Tcells

Correct answer: 4. Burkitt's lymphoma involves Tcells